Following patients turn up for routine gynecological examination in OPD. None of them have had any cervical cancer screening in the past 5 years. Pap smear is recommended for all except:
1. 35-year-old woman
2. 60-year-old woman
3. 28-year-old woman who has been vaccinated for HPV
4. 19-year-old sexually active woman

Correct answer: 4. 19-year-old sexually active woman

Explanation: Ans. D. 19 year old sexually active womanScreening for cervical cancer:a. < 21 years = no screening - sexual history is not a considerationb. 21 - 29 years = cytology alone very 3 yearsc. 30 - 65 years = preferred is HPV and cytology contesting every 5 yearsd. > 65 years = Screening can be discontinued after either three consecutive negative cytology tests or two negative cytology and HPV tests within 10 years, provided the most recent test was within 5 yearse. No screening needed after total hysterectomy, provided no history of CIN or cancer in the past 20 yearsf. HPV vaccinated individuals follow same age specific recommendations.